QRS complex indicates -
1. Atrial repolarization
2. Atrial depolarization
3. Ventricular repolarization
4. Ventricular depolarization

Correct answer: 4. Ventricular depolarization

Explanation: QRS Complex in an electrocardigram indicates ventricular depolarisation source: Harrison 29th edition pg 1435